Which occurs first in wound healing -
1. Thin continuous epithelial cover appears
2. Fibroblasts lay down collagen fiber
3. Granulation tissue fills the wound
4. Neutrophils line the wound edge

Correct answer: 4. Neutrophils line the wound edge

Explanation: Ans. is 'd' i.e., Neutrophils line the wound edge